Rheumatoid factor is -
1. IgG
2. IgM
3. IgD
4. IgE

Correct answer: 2. IgM